Trisodium phosphonoformate (foscarnet) is a potent antiviral agent for treating herpes simplex infections. It works by affecting
1. The viral RNA polymerase
2. The viral DNA polymerase
3. The viral reverse transcriptase
4. The host-cellular DNA polymerase

Correct answer: 2. The viral DNA polymerase

Explanation: Trisodium phosphonoformate (foscarnet) inhibits herpes simplex virus (HSV) replication. Foscarnet is a potent inhibitor of HSV-induced DNA polymerase, and has little effect on known cellular DNA polymerases. Herpesvirus mutants resistant to the drug arise easily.
To a lesser extent, foscarnet also appears to inhibit the polymerase of hepatitis B virus and retroviruses.
Combinations of antivirals, including foscarnet, are currently prescribed to increase the clinical usefulness of the drugs.